Most common tumor to extend from intracranial to orbit is-
1. Astrocytoma
2. Pituitary adenoma
3. Craniopharyngioma
4. Sphenoidal wing meningioma

Correct answer: 4. Sphenoidal wing meningioma

Explanation: *Meningiomas commonly arise from the dura of sphenoid wing, i.e.sphenoid wing meningioma. Ref:Opthalmic oncology p.84.